Range of current used by biphasic defibrillator
1. 30-100 joules
2. 100-300 joules
3. 300-1000 joules
4. 1000-2000 joules

Correct answer: 2. 100-300 joules

Explanation: Modern units deliver a biphasic shock, during which shock polarity is reversed mid-shock. This reduces the total energy required to depolarise the heart. The energy of first and second shocks should be 150joules and thereafter up to 200joules. Reference Harrison 20th edition pg 1576